Chemotherapy agents used for Retinoblastoma includes
1. Vincristine, Etoposide, Carboplatin
2. Vincristine, Doxorubicin, Carboplatin
3. Doxorubicin, Etoposide, Carboplatin
4. Actinomycin, Doxorubicin, Carboplatin

Correct answer: 1. Vincristine, Etoposide, Carboplatin

Explanation: Vincristine, Etoposide, Carboplatin are used to treat Retinoblastoma.